Strawberry gallbladder is
1. Emphysematous cholecystitis
2. Cholesterosis
3. Mucocele
4. Gallbladder polyp

Correct answer: 2. Cholesterosis

Explanation: Ans. (b) CholesterosisRef: Bailey and Love 26th edition Page 1108* Interior of gallbladder looks like straw berry.* Associated with cholesterol stones.